"Auspitz" sign is characteristically seen in -
1. Plaque Psoriasis
2. Pustular Psoriasis
3. lichen planus
4. Inverse Psoriasis

Correct answer: 1. Plaque Psoriasis

Explanation: psoriasis:-Inflammatory papulo squamous skin disease.Genetic predisposition. Psoriasis susceptibility 1 (PSORS1) is the most important susceptibility locus. Clinical features:-1. Classic lesion-Well defined erythematous plaque with a silvery white scales.2. Size varies from pin point papules to plaques.3. The scales are loosely adhered,and on renoval of scales,coherent scaling can be seen as if one scratches a wax candle ( signe de la tache de bougie).4. On complete removal of scales,a red moist membrane ,Bulkeley membrane is seen.5. On further scraping,punctate bleeding points are seen.-Auspitz's sign.This occurs due to suprapapillary thinning and capillary dilatation6. A surrounding ring of hypopigmentation seen ,Woronoff's ring, seen associated with the treatment and implies a good response to treatment IADVL textbook of dermatology page 1036